Spatial relationship of every atom in a molecule is known as:
1. Conformation
2. Configuration
3. Both of the above
4. None of the above

Correct answer: 1. Conformation

Explanation: The terms configuration and conformation are often confused:

Configuration refers to the geometric relationship between a given set of atoms, for example, those that distinguish l- from d-amino acids. Interconversion of configurational alternatives requires breaking (and reforming) covalent bonds.
Conformation refers to the spatial relationship of every atom in a molecule.

Ref: Harper’s illustrated biochemistry. 30th edition page no: 36